Malaria is transmitted in Rural areas by ?
1. Anopheles stephensi
2. Anopheles dirus
3. Anopheles culicifacies
4. None

Correct answer: 3. Anopheles culicifacies

Explanation: Ans. is 'c' i.e., Anopheles culicifacies